The Portal vein is formed?
1. By the superior mesenteric vein
2. By the splenic vein
3. At the level of 2nd lumbar vertebra
4. All of the above

Correct answer: 4. All of the above

Explanation: All of the above